The feature of JVP in cardiac tamponade is:
1. Prominent x descent with prominent 'y'descent
2. Prominent x descent with absent 'y' descent
3. Absent x descent with prominent 'y' descent
4. Absent x descent with absent 'y' descent

Correct answer: 2. Prominent x descent with absent 'y' descent

Explanation: B i.e. Prominent X descent with absent 'Y' descent